All the following are the risk factors for cervical cancer except
1. Young age at first intercourse
2. Multiple sexual partners
3. Low parity
4. Low socioeconomic status

Correct answer: 3. Low parity

Explanation: There are numerous risk factors for cervical cancer: Young age at first intercourse (younger than 16 years), Multiple sexual partners, Cigarette smoking, race, High parity, Low socioeconomic status, and Chronic immune suppression. Reference: Novak's gynaecology; 14th edition; Chapter 35; Uterine cancer